Incidental finding in CT scan, a 3 cm adrenal mass, which of the following is not done?
1. Adrenalectomy
2. Dexamethasone suppression test
3. Measurement of catecholamines
4. Midnight plasma cortisol

Correct answer: 1. Adrenalectomy

Explanation: Nonoperative therapy, with close periodic follow-up, is advised for lesions <4 cm in diameter with benign imaging characteristics, whereas adrenalectomy is recommended for lesions >=4 cm in size due to the increased risk of cancer.